Condition which does not cause metabolic acidosis-
1. Renal failure
2. Ureterosigmoidostomy
3. Pancreatic or biliary fistula
4. Pyloric stenosis

Correct answer: 4. Pyloric stenosis